Which of the following is the major cytokine produced by TH2 helper Tcell
1. IFN - γ
2. IL - 17
3. IL - 4
4. IL - 12

Correct answer: 3. IL - 4

Explanation: IL - 4, 5, 6 are the major cytokines produced by TH2 helper TCell.
IFN - γ, IL - 12 is produced by TH 1 Cell.